Which of the following infection can cause hemorrhagic conjunctivitis?
1. Enterovirus
2. Herpes zoster
3. Herpes simplex
4. Epstein barr virus

Correct answer: 1. Enterovirus

Explanation: Picornavirus, Coxackie virus 24 and Entrovirus 70 causes hemorrhagic conjunctivitis. Acute hemorrhagic conjunctivitis (AHC) is characterized by conjunctival congestion, vascular dilatation and onset of edema. No treatment is available.